Diuretics that can be used in renal failure is :
1. Furosemide
2. Chlorthiazide
3. Mannitol
4. Chlorthalidone

Correct answer: 1. Furosemide